Rider's caramel is seen in -
1. Blue dot eataract
2. Zonular cataract
3. Anterior capsular cataract
4. Coronary cataract

Correct answer: 2. Zonular cataract

Explanation: In zonular cataract the main mass of the lens internal and external to the zone of cataract is clear, except for small linear opacities like spokes of a wheel (riders) which may be seen towards the equator.